With MAO inhibitors, food not given is -
1. Cheese
2. Beer
3. Fish
4. All of the above

Correct answer: 4. All of the above

Explanation: Ans. is 'd' i.e., All of the above